The commonest bladder stone is -
1. Triple phosphate
2. Xanthine
3. Uric acid
4. Cysteine

Correct answer: 3. Uric acid

Explanation: Ans. is 'c' i.e. Uric acid